Which of the following is a non motile bacteria -
1. Klebsiella pneumoniae
2. Helicobacter pylori
3. Vibrio Cholerae
4. E.Coli

Correct answer: 1. Klebsiella pneumoniae

Explanation: Ans. (a) Klebsiella pneumoniaeRef: Microbiology by Ananthanarayan and Paniker 8th ed. 1278, 707* All the bacteria in the list except Klebsiella pneumoniae have flagella (or endoflagella) which gives them the property of motility.